Osteoblast covering the periodontal surface of the alveolar bone constitute a
1. Modified periosteum
2. modified endosteum
3. periosteum
4. endosteum

Correct answer: 2. modified endosteum